20 yr old boy is brough to the emergency following an A with respiratory distress and hypotension He has subcutaneous emphysema and no air entry on the right side What is the next best step in the management
1. start IV fluids after insertion of wide bore iv line
2. Needle decompression in the 5th Ics
3. Shift to Icu and intubate
4. Positive pressure ventilation

Correct answer: 2. Needle decompression in the 5th Ics

Explanation: Hlistory of clinical examination is suggestive of tension pneumothorax according to trauma updates needle decompression in adults should be done in 5th Ics at mid axillary line * in children needle in 2nd ICS at MCL ref : baile and love 27th ed